All are associated with Wernicke's encephalopathy, except:
1. Cog wheel rigidity
2. Alteration in mental function
3. Vlth nerve palsy
4. Ataxia

Correct answer: 1. Cog wheel rigidity

Explanation: Ans. Cog wheel rigidity